The rate of mixed whole stimulated saliva increases with age in which of the following  age group (according to Crossner)
1. 1-2 year of Age
2. 5-15 year of Age
3. 3-4 year of  Age
4. Above 15 years

Correct answer: 2. 5-15 year of Age

Explanation: Crossner reported that in children from 5 to 15 years of age, the rate of mixed whole stimulated saliva increases with age, and boys have consistently higher rates than girls.  Saliva substitutes, as well as fluoride and chlorhexidine rinses, are reported to enhance remineralization and promote resistance to demineralization of tooth surfaces, and may help prevent radiation-induced caries.